All of the following statements regarding subendoc ardinal infarction are true, except
1. These are multifocal in nature
2. These often result from hypotension or shock
3. Epicarditis is not seen
4. These may result in aneurysm

Correct answer: 4. These may result in aneurysm

Explanation: Are MI s limited to the inner third of the myocardium. These infracts typically do not exhibit ST segment elevation or Q waves on the ECG tracing. This region is most vulnerable to hypoperfusion and hypoxia . Thus in the setting of severe coronary artery disease Robbins 9th edition page no. 379